Which is the only medial branch of the external carotid artery?
1. Superior thyroid
2. Lingual
3. Internal maxillary
4. Ascending pharyngeal

Correct answer: 4. Ascending pharyngeal